For hiatus hernia, investigation of choice is
1. Barium meal follow through
2. Barium meal upper GI
3. Barium meal upper GI in Trendelenburg position
4. Barium meal double contrast

Correct answer: 3. Barium meal upper GI in Trendelenburg position